Catamite refers to:
1. All passive sodomy
2. Passive sodomy young aged
3. Passive sodomy in elderly
4. Passive sodomy in female

Correct answer: 2. Passive sodomy young aged

Explanation: Ans. b. Passive sodomy young agedGerontophilia: When the passive agent is an adult.Pederasty: When the passive agent is child who is known as catamite.Pedophile: An adult who repeatedly engages in sexual activity with children.